Which is not true about aspergillosis-
1. Aspergillus Niger is the cause of fungal otitis externa
2. It is highly contagious
3. Aspergilloma is common in preexisting TB, or cystic disease
4. Aspergillus fumigatus is a cause of bronchial aspergillosis

Correct answer: 2. It is highly contagious

Explanation: Answer is B (It is highly contagious): Human Aspergillosis mostly results front inhalation of conidia and is not a contagious disease. Person to person transmission does not occur - Current diagnosis and Treatment in Infections Disease Aspergillosis is not a contagious disease It is not a contagious disease and person to person transmission does not occur Routes of transmission include - Inhalation of conidia(maj or route)-Environmental Exposure - Direct inoculation into skin - Direct inoculation into blood amongst drug abusers Nosocomial infection may occur amongst hospitalized, immunocompromised patients Aspergillosis is common in preexisting tuberculosis and cystic disease 'Patient with chronic pulmonary aspergillosis have a wide spectrum of underlying pulmonary disease including tuberculosis and sarcoidosis' - Harrisons Preexisting cavitatory lesions predispose to the formation of Aspergilloma or fungal ball' (CIDT) Aspergillus niger more commonly colonizes the upper respiratory tract and causes otitis externa (Harrison) The most common species of Aspergillosis causing pulmonary infections is Aspergillus Fumigatus. The most common species of Aspergillosis causing otitis externa is Aspergillus niger.